Which of the following is the first symptom of iron deficiency anemia?
1. Low iron concentration in blood
2. Reduced hemoglobin
3. Reduced PCV
4. Reduced ferritin

Correct answer: 4. Reduced ferritin

Explanation: Ans. D: Reduced ferritin